Sertoli cells in male secrete ?
1. Testosterone
2. Dehydroepiandrosterone
3. MIH
4. Progesterone

Correct answer: 3. MIH

Explanation: Ans. is 'c' i.e., MIHSertoli cells are stimulated by FSH and secrete :-i) Androgen binding protein (ABP)ii) Inhibiniii) Mullerian inhibiting substance (MIS) or Mullerian inhibiting hormone (MIH)Leydig cells are stimulated by LH and secrete androgens (testesterone), dihydrotestosterone, androstendione, dehydroepiandrosterone.